Typical histology in benign hypertension?
1. Intimal proliferation and hyalinization of media of medium arteries
2. Fibrinoid necrosis of small arteries
3. Loss of endothelial cells of arterioles
4. Formation of new vessels

Correct answer: 1. Intimal proliferation and hyalinization of media of medium arteries

Explanation: Ans. (a) Intimal proliferation and hyalinization of media of medium arteries(Ref: Robbins 9th/pg 490; 8th/pg 495)There is increased myofibroblastic tissue in the intima along with hyaline deposits in benign hypertension. Intimal proliferation is usually the universal response of a vessel to injury.